HIV renal specific nephropathy-
1. FSGS
2. Membrano proliferative
3. Mesangioproliferative G N.
4. Membranous glomerulonephritis

Correct answer: 1. FSGS

Explanation: Ans. is 'a' i.e., FSGS Collapsing glomerulopathy:o It is the characteristic glomerulopathy associated with HIV infectionQ.o HIV can result in various glomerulopathies such as acute diffuse proliferative glomerulonephritis, mesangioproliferative glomerulonephritis including IgA nephropathy, MPGN and membranous glomerulopathy.o But the classical glomerulopathy associated with HIV infection is collapsing glomerulopathy.Collansine elomerulopathv is actually an aggressive form of "focal seemental glomerulosclerosis".Focal segmental glomerulosclerosis is characterized by sclerosis of some but not all glomeruli (thus it is focal) and in the affected glomeruli only a portion of the capillary) tuft is involved.In contrast, collapsing glomerulopathy is characterized by collapse and sclerosis of the entire glomerular tuffQ' (in addition to the usual focal segmental glomerular lesions)."Characteristic feature is proliferation and hypertrophy of glomerular visceral epithelial cellsQ."Remember thisThe minimum diasnostic criteria for defining a collapsing variant of focal segmental glomerulosclerosis is :o The presence by light microscopy of at least one glomerulus showing segmental or global obliteration of the glomerular capillary lumen by wrinkling and collapse of glomerular basement membrance in association with hypertrophy and hyperplasia of overlying visceral epithelial cells.o The other characteristic features which distinguishes HIV associated nephropathy from FSGS.Presence of tubuloreticular inclusionsQAggresive clinical course.